Which of the following nerves innervates the deltoid muscle?
1. Axillary
2. Dorsal scapular
3. Long thoracic
4. Suprascapular

Correct answer: 1. Axillary

Explanation: The axillary nerve innervates the deltoid muscle, as well as provides sensation over the lateral part of the arm.The dorsal scapular nerve innervates the rhomboids and levator scapulae muscles.The long thoracic nerve innervates the serratus anterior. Injury to this results in winging of the scapula.The suprascapular nerve innervates the supraspinatus and infraspinatus muscle.